Manifestation of nephritic syndrome is-
1. Syphilis
2. Hypotension
3. Hematuria
4. Plyuria

Correct answer: 3. Hematuria

Explanation: In acute nephritic syndrome, 1-2g/24 hr of proteinuria. Hematuria with rbc casts pyuria hypertension, fluid retention Rise in serum creatinine associated with reduction in GFR. Ref:Harrison 20 th edition pg no 2134.